Most common testicular tumor?
1. Seminoma
2. Teratoma
3. Sertoli cell tumor
4. Chorio-CA

Correct answer: 1. Seminoma

Explanation: Ans. (a) SeminomaRef : Bailey & Love 26th ed. /1385* Seminoma is the most common germ cell tumor of the testis or, more rarely, the mediastinum or other extra- gonadal locations. It is a malignant neoplasm and is one of the most treatable and curable cancers, with a survival rate above 95% if discovered in early stages.